Central diabetes insipidus is characterized by?
1. Low plasma and low urine osmolality
2. High plasma and high urine osmolality
3. Low plasma and high urine osmolality
4. Low urine and high plasma osmolality

Correct answer: 4. Low urine and high plasma osmolality

Explanation: Is characterized by ADH|| which leads to loss of H2O so urine will be diluted and plasma will be concentrated. Low urine & High plasma Osmolality in Central D.I SIADH (Gain of water) DI(loss of water) Urine osmolality || || Plasma osmolality || || Na+ concentration Dilutional hyponatremia Relative hypernatremia